Giving false evidence under oath is defined under section:
1. 151 IPC
2. 161 IPC
3. 181 IPC
4. 191 IPC

Correct answer: 4. 191 IPC

Explanation: Ans is 'd' i.e. 191IPC Section 191: Giving false evidence. Whoever, being legally bound by an oath or by an express provision of law to state the truth, or being bound by law to make a declaration upon any subject, makes any statement which is false, and which he either knows or believes to be false or does not believe to be true, is said to give false evidence.Section 193: Punishment for false evidence. Whoever intentionally gives false evidence in any stage of a judicial proceeding, or fabricates false evidence for the purpose of being used in any stage of a judicial proceeding, shall be punished with imprisonment of either description for a term which may extend to seven years, and shall also be liable to fine,